Most genuine symptom of the retroversion is :
1. Backache
2. Dyspareunia
3. Infertility
4. Diarrhoea

Correct answer: 2. Dyspareunia

Explanation: Dyspareunia